Which of the following methods for assessment of female infertility during a menstrual cycle can best predict timing of ovulation:
1. BBT
2. Fern Test
3. Spinnbarkeit Phenomenon
4. Hormonal Study

Correct answer: 4. Hormonal Study

Explanation: Ans. is d, i.e. Hormonal studyRef: Leon Speroff 8th/ed, pi 161-4; Dutta Gynae 5th/ed, p228LH Surge"Evaluation of ovulation is an important part of any female fertility investigation. All of the different methods are useful and no one method is necessarily best. When circumstances require accurate prediction of ovulation as in couples having infrequent intercourse or those who require timely insemination, monitoring urinary LH excretion generally is the most cost-effective and appropriate choice" - Ref: Leon speroff 7th/ed, p1036"Ovulation predictor kits (LH kits) are noninvasive and widely available, require relatively little time and effort. Their greatest advantage over other methods is the ability to accurately predict when ovulation will occur""LH ovulation predictor kits are probably the most convenient home monitoring methods of predicting ovulation" - Ref: Cambridge Guide to Infertility management and Assisted reproduction/68Note: Ovulation occurs because of LH surgeOnset of LH surge to ovulation = 36 hoursOnset of LH peak to ovulation = 12 hoursSerum Progesterone levels* It is the simplest method to assess ovulation in a female with regular menstruationTest - Should be performed 1 week after LH surge, i.e. on Day 21 if menstrual cycle is of 28 days.If serum progesterone levels on day 21 are >3ng/ml, it indicates ovulation has occurred.